All are the high-risk factors for sudden cardiac death in hypertrophic cardiomyopathy except:
1. Family history of sudden cardiac death
2. Non-sustained Ventricular tachycardia on cardiac monitoring
3. Left ventricular septal thickness of 2-3cm
4. Abnormal drop in systolic blood pressure

Correct answer: 3. Left ventricular septal thickness of 2-3cm

Explanation: High risk factors for Sudden cardiac death in HOCM -H/o cardiac arrest, sustained ventricular tachycardia -Syncope (non-vagal) -Spontaneous non sustained ventricular tachycardia -LV thickness > 3 cm -Abnormal fall in SBP